A 40 year old male had multiple blisters over the trunk & Extremities. Direct Immuno fluoresce studies showed linear IgG deposits along the Basement membrane, which of the following is the most likely diagnosis.
1. Pemphigus vulgaris
2. Bullous pemphigoid
3. Pemphigus foliaceous
4. Dermatitis herpetiformis

Correct answer: 2. Bullous pemphigoid

Explanation: B i.e. Bullous pemphigoid